The number of times an individual swallows per day while awake:
1. 600
2. 800
3. 700
4. 900

Correct answer: 1. 600